Which of the following is associated with antiglomerular basement membrane antibody ?
1. IgA nephropathy
2. Membranous glomerulonephritis
3. Goodpasture's syndrome
4. Membrano-proliferative glomerulonephritis

Correct answer: 3. Goodpasture's syndrome

Explanation: Ans. is 'c' i.e., Goodpasture's syndrome